Platelet are stored at what temperature
1. 20-24oC
2. 2-6oC
3. 37oC
4. -2 to -4oC

Correct answer: 1. 20-24oC

Explanation: Storage 
Temperature
Shelf Life




Packed RBC's
Platelets
FFP
Cryoprecipitate
2-6oC
20-24oC
-18oC
-18oC
42 days
5 days
1 year
1 year